Chromosome are visualized through light microscope with resolution of -
1. 5 Kb
2. 50 mb
3. 5 mb
4. 500 Kb

Correct answer: 3. 5 mb

Explanation: . 5 mb